Catabolism of H2O2 is carried out by:
1. Peroxisomes
2. Mitochondria
3. Endoplasmic reticulum
4. Lysosomes

Correct answer: 1. Peroxisomes

Explanation: Ans. (a) Peroxisomes(Ref: Ganong, 25th ed/p.38)Peroxisomes (or) microbodies are concerned with three vital functions in a cell namely:#Generation and degradation of hydrogen peroxide (H2 O2 )#Oxidation of very long chain fatty acids (eg, C20,C22)#Detoxification of harmful chemicals